Precancerous condition of the stomach is ?
1. Lipoma
2. Linitis plastica
3. Atrophic gastritis
4. Hyperacidity

Correct answer: 3. Atrophic gastritis

Explanation: Ans. is 'c' i.e., Atrophic gastritis